Dependency ratio includes
1. 0 - 5 yrs age
2. 0 - 14 yrs age
3. 15 - 45 yrs age
4. <65 yrs

Correct answer: 2. 0 - 14 yrs age

Explanation: The proportion of persons above 65 years of age and children below 15 years of age are considered to be dependent on the economically productive age group. The ratio of the combined age groups 0-14 years plus 65 years and above to the 15-65 years age group is referred to as the total dependency ratio. Reference : Park's textbook of preventive and social medicine, 23rd edition , pg no: 484